Septal perforation is not seen in:
1. Septal abscess
2. Leprosy
3. Rhinophyma
4. Trauma

Correct answer: 3. Rhinophyma

Explanation: (c) Rhinophyma(Ref. Scott Brown, 8th ed., Vol 1; 1150)Also known as potato nose Rhinophyma is due to hypertrophy of the sebaceous glands of the tip of nose. It does not involve the septum.